The corpus luteum secretes :
1. Oestrogens
2. Progesterone
3. Both
4. None

Correct answer: 3. Both

Explanation: Both Hormones secreted by corpus Luteum Progesteronedeg (Predominantly) Estrogendeg Inhibindeg Relaxin Progesterone along with estrogen from corpus luteum maintain the growth of the feilised ovum. This is essential till the luteal function is taken over by the placenta (called as Luteal-placental shift).